Cyclosporine is an
1. Antioxidant
2. Immunity booster
3. Antibiotics
4. Immunosuppressant

Correct answer: 4. Immunosuppressant

Explanation: Ref Bailey and love 27/e p1538